A five-day-old, full term male infant was severely cyanotic at birth. His chest X ray showed 'Egg-on -side' appearance. Prostaglandin E1 was administered initially and later balloon atrial septosomy was done which showed improvement in oxygenation. The most likely diagnosis of this infant is:
1. Tetralogy Fallot
2. Transposition of great vessels
3. Truncus arteriosus
4. Tricuspid atresia

Correct answer: 2. Transposition of great vessels

Explanation: - Given features suggests towards diagnosis of TGA Transposition of the great vessels with an intact ventricular septum presents with early cyanosis, normal-sized heart, normal or slightly increased pulmonary vascular markings, and an ECG showing right-axis deviation and right ventricular hypertrophy - Balloon atrial septostomy: Helpful in a baby with TGA with intact ventricular septum for initial stabilization, It creates a communication between the left and right atria - helps in mixing blood of systemic and pulmonary circulations & maintain relatively better oxygenation. -TREATMENT OF TGA: PGE1 analogue - Keep ductus arteriosus open Balloon atrial septostomy / Rashkind procedure - Emergency procedure Arterial switch operation / Jatene's repair - Definitive surgery